Which of the following is a quantitative method of health management?
1. Cost effective analysis
2. Human resource management
3. Communication management
4. Supportive supervision and leadership

Correct answer: 1. Cost effective analysis

Explanation: Quantitative methods are derived from the field of economics, operation research and budgeting. Some of these techniques have a great role in the management of health servicesEx: Cost-benefit analysis, Cost-effective analysis, Cost-accounting, Input-output analysis